Burns which usually appears like the branches of a tree or fronds of a fern called
1. Joule burn
2. Linear burn
3. Filigree burn
4. Crocodile burn

Correct answer: 3. Filigree burn

Explanation: Arborescent or filigree burns or feathering usually appears like the branches of a tree or the fronds of a fern is due to rupture of small blood vessels at several places giving rise to ecchymoses with arborescent pattern. Ref: TEXTBOOK OF FORENSIC MEDICINE AND TOXICOLOGY KRISHNAN VIJ FIFTH EDITION PAGE 181